Which of the following is called as Preisz-Nocard bacillus -
1. C. diphtheriae
2. C. pseudotuberculosis
3. M. tuberculosis
4. Mycoplasma

Correct answer: 2. C. pseudotuberculosis